Which of the following is located in Laimer's triangle:
1. Esophageal diverticulum
2. Colonic diverticulum
3. Meckel's diverticulum
4. Peri -ampullary diverticulum

Correct answer: 1. Esophageal diverticulum

Explanation: Cervical esophageal diverticulum (Zenker Diverticulum) is located in Killian-Laimer triangle which is located inferior to the cricopharyngeus in the posterior midline above the confluence of the longitudinal layer of esophageal muscle. Laimer's triangle is covered only by the circular layer of esophageal muscle.